Which of the following personality trait has the highest chances of acquiring schizophrenia?
1. Borderline personality
2. Schizoid personality
3. Schizotypal Personality
4. Anti social Personality

Correct answer: 3. Schizotypal Personality

Explanation: Schizotypal personality trait can progress to schizophrenia.
Remember : Individuals with borderline personality disorder are also called as "Ambulatory Schizophrenics".